Which of the following is amylin analogue-
1. Exenatide
2. Sitagliptin
3. Pramlintide
4. Glucomannan

Correct answer: 3. Pramlintide

Explanation: Ans. is 'c' i.e., Pramlintide